Modified shock index formula is:
1. Heart rate/Systolic BP
2. Heart rate/Diastolic BP
3. Heart rate/Mean arterial pressure
4. Pulse rate/Systolic BP

Correct answer: 3. Heart rate/Mean arterial pressure

Explanation: Shock Index(SI) Modified Shock Index (MSI) SI is defined as heart rate divided by systolic BP Better marker for assessing severity of shock than heart rate & BP alone. Utility in trauma patients , sepsis, obstetrics, myocardial infarction, stroke & other acute critical illnesses. Correlated with need for interventions such as blood transfusion & invasive procedures including operations SI is known as a hemodynamic stability indicator Si does not take into account the diastolic BP MSI is defined as heart rate divided by mean arterial pressure High MSI indicates a value of stroke volume & low systemic vascular resistance, a sign of hypodynamic circulation Low MSI indicates a hyperdynamic state. MSI has been considered a better marker than SI for mortality rate prediction. Ref: Sabiston 20th edition Pgno: 52